UNICEF headquarters are at -
1. Geneva
2. Paris
3. New york
4. Rome

Correct answer: 3. New york

Explanation: UNICEF (United Nations International Children's Emergency Fund)is one of the specialized agencies of the United Nations .It was established in 1946 by the United Nations General Assembly to deal with rehabilitation of children in war ravaged countries. The headquarters of the UNICEF is at United Nations,Newyork (refer pgno:922 park 23 rd edition)